Tooth discoloration because of increase amount of bilirubin:
1. Chlorodontia.
2. Acrodontia
3. Trochodontia
4. None of the above

Correct answer: 1. Chlorodontia.